Decreased O2 carrying capacity and Normal PO2 is a feature of
1. Anemic hypoxia
2. Histotoxic hypoxia
3. Stagnant hypoxia
4. Hypoxic hypoxia

Correct answer: 1. Anemic hypoxia

Explanation: Subnormal level of haemoglobin causes decreased oxygen - carrying capacity of the blood. This, in turn, initiates compensatory physiologic adaptations such as :Increased release of oxygen from hemoglobin. o Increased blood flow to the tissues.Maintenance of the blood volume; andRedistribution of blood flow to maintain the cerebral blood supplyEventually, however, tissue hypoxia develops causing impaired functions of the affected tissues.